Net Reproductive Rate of 1 implies a Couple Protection Rate of: (Repeat)
1. 50
2. 60
3. 70
4. 80

Correct answer: 2. 60

Explanation: Ans: B (60) Ref: Textbook of Preventive and Social Medicine, K Park,21st edition feb 2011,page no:452.Explanation:"To achieve the demographic goal of NRR - 1 the couple protection rate should have to be achieved by 60% far beyond the present level f46.6%)"Demographic IndicatorsBirth rate - Number of live births during the year per 1000 estimated mid-year populationGeneral fertility rate (GFR) - Number of live births in an area during the year per 1000 midyear female population age 15-44 (or49) in the same yearAge specific fertility rate (ASFR)- Number of live births in a particular age group per 1000 midyear female population of the same age groupTotal fertility rate - Average number of children a women would have if she were to pass through her reproductive years hearing children at the same rates as the women now in each age groupGross reproductive rate - Average number of girl children a women would have if she were to pass through her reproductive years bearing children at the same rates as the women now in each age group* Net reproductive rate - Average number of daughters a newborn girl will bear during her lifetime assuming fixed age-specific fertility and mortality rates.Also NoteNRR = number of daughters a new born girl will bear during her lifetime assuming fixed age- specific fertility and mortatlity rates.TFR = 2.1 is equivalent to two child norm.NRR = 1 is equivalent to two child norm, as in NRR we only take into account only female children. NRR = 1 means each women is replaced hut a women (her female child).If NRR is less than l. then reproductive performance of the population is said to be below' replacement level.NRR=1 can be achived only atleast 60% of eligible couples are effectively practising family planning. That is Couple Protection Rate of 60%